Which of the following is used for the treatment of Myopia –
1. Nd–YAG LASER
2. Excimer Laser
3. Carbamazepine
4. SSRI

Correct answer: 2. Excimer Laser

Explanation: Most commonly used procedures in refractive surgery are performed with an excimer laser.